The main action of the reciprocating arm is
1. Reciprocates the action of the retentive arm
2. Reciprocation of vertical displacement
3. To provide stability to the denture
4. None of the above

Correct answer: 1. Reciprocates the action of the retentive arm